Sea shore sign on USG is see in
1. Pneumo thorax
2. Normal lung
3. Pleural effusion
4. Pulmonary edema

Correct answer: 2. Normal lung

Explanation: Sea shore sign - Normal lung.
Loss of this pattern (stratosphere sign) - Pneumothorax.